Therapeutic drug monitoring of plasma concentration of antihypertensive drugs is not practiced because
1. Determination of plasma level of these drugs is quite tedious and long process
2. It is easier to measure the effect of these drugs
3. Antihypertensive effect do not increases linearly with the dose
4. All Antihypertensive drugs are prodrugs

Correct answer: 2. It is easier to measure the effect of these drugs

Explanation: Ref-KDT 6/e p34 TDM is done for drugs (with narrow therapeutic index) whose response cannot be monitored by clinical examination. Antihypertensive effect can be easily measured, therefore TDM is not required